Largest cranial nerve is:
1. Trochlear
2. Trigeminal
3. Oculomotor
4. Vagus

Correct answer: 2. Trigeminal

Explanation: Trigeminal